Ispilateral optic atrophy with contralateral papilloedema is a feature of -
1. Fischer syndrome
2. Foster kennedy syndrome
3. Vogt- kayanagi- Harada syndrome
4. WAGR syndrome

Correct answer: 2. Foster kennedy syndrome

Explanation: Foster - Kennedy syndrome: - The frontal lobe, pituitary and middle ear tumor such as meningiomata of the oflactor groove are sometimes associated with Ipsilateral pressure atrophy of the optic nerve and contralateral papilloedema.